Spalding's sign is seen in which of the following?
1. Drowning
2. Mummification
3. Adipocere
4. Maceration

Correct answer: 4. Maceration

Explanation: Spalding's sign refers to loss of alignment and overriding of the bones of cranial vault due to shrinkage of the brain after death. It is a sign of maceration. Maceration is a process of aseptic autolysis that occur when the dead child remains in the uterus for some period surrounded with liquor amnii but with the exclusion of air. Earliest sign of maceration is skin slippage seen 12 hours after the death of the child in utero. Features of maceration: Fetus is soft and flabby and flattens when kept on the table. Emits sweetish disagreeable smell Skin slippage Skin is sodden and shows red or purple colouration with large blebs containing serous or sero sanguineous fluid. Epidermis is easily peeled off. Joints become abnormally mobile of flexible. Body cavities contain reddish serous fluid. Internal organs become soft and edematous Umbilical cord become red, smooth, soft and thickened. Ref: Textbook of Forensic Medicine and Toxicology: Principles and Practice, 5/e By Krishan Vij 5th edn page 148.